All of the following catecholamines are secreted endogenously, EXCEPT:
1. Epinephrine
2. Norepinephrine
3. Dopamine
4. Dobutamine

Correct answer: 4. Dobutamine

Explanation: The medulla of adrenal gland is extremely vascular and consists of large chromophil cells arranged in a network. It is made of 2 cell types called pheochromocytes--epinephrine-producing (more numerous) and norepinephrine-producing cells. These cells synthesize and secrete the catecholamines - epinephrine (in greater amounts), norepinephrine and, to a lesser extent, dopamine. Ref: Molina P.E. (2010). Chapter 6. Adrenal Gland. In P.E. Molina (Ed), Endocrine Physiology, 3e.